In a certain population, there were 4050 births in the last one year. There were 50 still births, 50 infants died within 7 days whereas 150 died within the first 28 days. What is the neonatal mortality rate?
1. 50
2. 62.5
3. 12.5
4. 49.4

Correct answer: 1. 50

Explanation: Ans. a. 50 (Ref: Park 23/e p564, 20/e p486)Neonatal Mortality Rate (NMR)In the Given QuestionTotal no. of deaths under 28 days = No. of deaths within 7 days + no. of deaths within the first 28 daysTotal no. of live births = Total births - still births